The helical structure model of two polynucleotide chains of DNA was proposed by
1. Guerin
2. Craig venter
3. Watson and Crick
4. Michael Bishop and Harold Warms

Correct answer: 3. Watson and Crick